One of the following is associated with Volkmann's ischaemic contractrue
1. Supracondylar fracture of humerus
2. Fracture shaft humerus
3. Intercondylar fracture of humerus
4. Dislocation of elbow

Correct answer: 1. Supracondylar fracture of humerus

Explanation: A i.e. Supracondylar fracture